Warthin-Finkelday giant cells in lymphoid tissue are characteristic of which of the following infections?
1. Mumps
2. Measles
3. Congenital cytomegalovirus infection
4. HIV infection

Correct answer: 2. Measles

Explanation: . A Warthin-Finkeldey cell is a type of giant multinucleate cell found in hyperplastic lymph nodes early in the course of measles and also in HIV-infected individuals, as well as in Kimura disease, and more rarely in a number of neoplastic (e.g. lymphoma) and non-neoplastic lymph node disorders. Ref Harrison20th edition pg 879